Zones of operation theatre includes all except:
1. Septic zone
2. clean zone
3. Protective zone
4. Sterile zone

Correct answer: 1. Septic zone

Explanation: Ans: a-septic zone...Protective Zone: Areas included in this zone are:ReceptionWaiting areaTrolley bayChanging roomClean Zone: Areas included in this zone are:Pre-op roomRecovery roomPlaster roomStaff roomStoreSterile Zone: Areas included in this zone are:Operating SuiteScrub RoomAnesthesia Induction RoomSet up RoomDisposal Zone: Areas included in this zone are:Dirty UtilityDisposal corridor